Signs of increased intracranial tension are all except:
1. Tachycardia
2. Papilledema
3. Headache
4. Seizures

Correct answer: 1. Tachycardia

Explanation: Ans. A. TachycardiaIntracranial pressure may increase due to brain tumors, masses of congenital origin and inflammatory disorders such as brain abscess, neurocysticercosis, tuberculoma and subdural fluid collection. After closure of sutures and fontanel the adaptive mechanisms to raised pressure in the brain are through displacement of CSF from the intracranial cavity and compensatory hemodynamic changes. Heart rate slows, respiratory rate is altered and blood pressure rises to maintain the cerebral circulation. Persistent early morning headache, unexplained projectile vomiting, impaired vision, personality changes may also result.